All of the following are TRUE regarding engagement of the head, EXCEPT:
1. One fifth of the head may be palpable per abdomen
2. The vertex will be at the level of ischial spine
3. The biparietal diameter has passed through the pelvic inlet
4. Two-fifth of the head may be palpable per abdomen

Correct answer: 4. Two-fifth of the head may be palpable per abdomen

Explanation: The diameter of engagement is the diameter of pelvic inlet in which head engages. Once engagement occurs, the vertex will be at the level of ischial spine and on abdominal palpation, either no part or only one-fifth of the head will be palpable. Ref: Textbook of Obstetrics Sheila Balakrishnan 1st Ed, page 125-126